All are true about polio, except -
1. 99% non paralytic
2. Flaccid paralysis
3. Exaggerated tendon reflexes
4. Aseptic meningitis

Correct answer: 3. Exaggerated tendon reflexes

Explanation: 90-95% of susceptible individuals develop only inapparent infections. In those preceding to paralytic poliomyelitis, flaccid paralysis may develop. REF:ANANTHANARAYAN AND PANIKER'S TEXTBOOK OF MICROBIOLOGY 9TH EDITION PAGE NO: 486, 487